Which of the following anesthetic agent is contraindicated in a patient with raised intracranial pressure:
1. Etomidate
2. Thiopentone
3. Propofol
4. Ketamine

Correct answer: 4. Ketamine

Explanation: Ans. (d) KetamineRef: KDT 6th ed. / 376* Please refer to above explanation.* Ketamine causes increase in all pressure i.e. intracranial, intraocular, intragastric and intravascular pressure.* Therefore, it is not used in raised ICT/IOT & h ypertension as it may increase the pressure to morbid levels.* Anesthetic agents of choice in head injury/increased ICP are:# Thiopentone (cerebro protective)# Propofol# Etomidate (protection against circulatory depression)# Isoflurane